Severe pulmonary edema is seen when PCWP rises above?
1. 5 mm Hg
2. 10 mm Hg
3. 15 mm Hg
4. 25 mm Hg

Correct answer: 4. 25 mm Hg

Explanation: Answer is D (25 mm Hg): Respiratory Care Anatomy and Physiology: Foundations for Clinical Practice (Elsevier Health Sciences, 2013)/ 126 Severe Pulmonary Edema is seen when PCWP rises above 25mm Hg. Hyrrostatit Pulmonary=fia and PCWP Interpretation 6-12 mm Hg (Normal) No Pulmonary Edema 12-18mm Hg(Mild Increase) May or may not be associated with Pulmonary Edema (Early Interstitial pulmonary edema may be seen ) 18 - 25 mm Hg (Moderate Increase) Usually associated with Interstitial Pulmonary Edema >25 mm Hg (Severe increase) Usually associated with Alveolar Pulmonary Edema